A young male presents with meningococcal meningitis and allergy to penicillin. Which is the most suitable drug?
1. Chloramphenicol
2. Meropenem
3. Ciprofloxacin
4. Teicoplanin

Correct answer: 1. Chloramphenicol

Explanation: Chloramphenicol which is bactericidal to meningococci can achieve high concentration in the CSF, so useful in the treatment of meningococcal meningitis in penicillin resistant individuals. Ref: Essentials of Medical Pharmacology By KD Tripathi, 5th Edition, Page 674 - 5; Principles And Practice of Clinical Bacteriology By Stephen H. Gillespi, 2nd Edition, Page 215.